Closing volume is the volume of lung
1. Above residual volume in the non-dependent part of lung
2. Above residual volume in dependent part of lung
3. Above tidal volume in non-dependent part of lung
4. Above tidal volume in dependent part of lung

Correct answer: 2. Above residual volume in dependent part of lung

Explanation: The closing capacity (CC) is the volume in the lungs at which its smallest airways, the respiratory bronchioles, collapse. It is defined mathematically as the sum of the closing volume and the residual volume. The alveoli lack supporting cartilage and so depend on other factors to keep them open Ref: guyton and hall textbook of medical physiology 12 edition page number:325,326,327